A man presented with fractures of 4th to 10th ribs and respiratory distress after a Road Traffic Accident (RTA). He is diagnosed to have flail chest and a PaO2 of <60%. Management is -
1. Tracheostomy
2. IPPV with oral intubation
3. Fixation of ribs
4. Strapping of chest

Correct answer: 2. IPPV with oral intubation